The following are alkylating agents except :
1. Cyclophosphamide
2. Methotrexate
3. Mechlorethamine
4. Busulfan

Correct answer: 2. Methotrexate